NAD+ linked dehydrogenase is ?
1. PDH
2. G6PD
3. Enoyl reductase
4. Succinate dehydrogenase

Correct answer: 1. PDH

Explanation: NAD/ -linked dehydrogenases Pyruvate dehydrogenase, isocitrate dehydrogenase, malate dehydrogenase, a-ketoglutarate dehydrogenase, glutamate dehydrogenase, glyceraldehyde-3-P dehydrogenase, lactate dehydrogenase, 3-hydroxy acyl CoA dehydrogenase, glycerol 3-P dehydrogenase (cytoplasmic).NADP+-linked dehydrogenases Glucose-6-P dehydrogenase, 6-Phosphogluconate dehydrogenase, 3-ketoacyl reductase, Enoyl reductase.FAD-linked dehydrogenases Succinate dehydrogenase, fatty acyl CoA dehydrogenase, glycerol-3P dehydrogenase (mitochondria]).